What type of RBC seen in chronic renal failure? -
1. Microcytic
2. Macrocytic
3. Normocytic
4. None

Correct answer: 3. Normocytic

Explanation: By definition, anemia refers to an absolute reduction of the total number of circulating red blood cells (RBCs). For practical purposes, anemia is considered when one or more of the following are decreased: hemoglobin, hematocrit, or red blood cell (RBC) count. This condition is a laboratory finding that signifies the presence of illness or disease; anemia should not be considered a diagnosis. Anemia usually is grouped into three etiologic categories: decreased RBC production, increased RBC destruction, and blood loss. Anemia of chronic illness and anemia of chronic kidney disease(CKD) both fall under the category of decreased RBC production. When the classification of anemia is based on the morphology of the RBCs, both anemia of chronic illness and chronic kidney disease usually fall under the classification of normochromic, normocytic anemia Ref Robbins 9/e pg 428